All of the following statements are true about adult polycystic kidney disease, except:
1. Autosomal dominant inheritance
2. Hypertension is rare
3. Can be associated with cysts in liver, lungs and pancreas
4. Pyelonephritis is common

Correct answer: 2. Hypertension is rare

Explanation: Adult polycystic kidney disease Hypertension is common in patients with autosomal dominant polycystic kidney disease. It is present in 75% of adult patients and 25% of children. Autosomal dominant Large multicystic kidneys, liver cysts, berry aneurysms Hematuria, flank pain, urinary tract infection, pyelonephritis, renal stones, hypertension Chronic renal failure beginning at 40-60 years of age